T/t used for lower ureteric stone is
1. Endoscopic removal
2. Diuretics
3. Drug dissolution
4. Laser

Correct answer: 1. Endoscopic removal

Explanation: Ans is 'a' ie Endoscopic removal Best modality of t/t for ureteric stone is - Ureteroscopic removal.There are other methods alsoEndoscopic Dormia basket - can only be used for small stones that are within 5-6 cm of the orifice.This has been replaced by ureteroscopic technique.Endoscopic Meatotomy - this is for removal of stones lodged in the intramural part of the ureter.Push bang method - If the stone is lying in the upper or middle part of the ureter; it can be pushed into the kidney pelvis using a ureteral catheter. The pt. can then be referred for ESWL (Extracorporeal shock wave lithotripsy)Lithotripsy in situ